In pyridoxine deficiency, tryptophan is converted to -
1. Nicotine
2. Acetoacetate
3. Xantheurenic acid
4. Acetyl CoA

Correct answer: 3. Xantheurenic acid

Explanation: Ans. is 'c' i.e., Xantheurenic acid o In vitamin B6 deficiency the metabolism is shuted to xanthurenic acid. Therefore, xantheurenic acid excretion is increased in urine.